Method of prevention of GVHD in bone marrow transplantation is:
1. T-cell removal
2. Prior immune suppression
3. Post procedure immune suppression
4. All of the above

Correct answer: 4. All of the above

Explanation: The following are the steps taken to reduce the risk of graft versus host disease: Getting the best donor match: donor is as closely matched to recipient with the technique of tissue typing. Use of immunosuppressive drugs like ciclosporin, tacrolimus etc T cell depletion: Removal of T cells from the donor's bone marrow is called as T cell depletion. Post procedure immune suppression using the drugs like methotrexate and cyclophosphamide.